All are required for balancing EXCEPT:
1. Visual system
2. Olfactory system
3. Proprioception
4. Vestibule and cochlea

Correct answer: 2. Olfactory system

Explanation: Ans. (b) Olfactory systemRef: Dhingra's ENT 5th ed. / 22* Requirements for balancing:# Vision# Vestibule and cochlea# Proprioception# Cerebellum